Retinoblastoma is bilateral in:
1. 1% of cases
2. 50% of cases
3. 100% of cases
4. 30% of cases

Correct answer: 4. 30% of cases

Explanation: Ans. 30% of cases